Murphy's sign is seen in
1. Acute cholecystitis
2. Cholangiocarcinoma
3. Cholangitis
4. Periampullary cancer

Correct answer: 1. Acute cholecystitis

Explanation: In the acute cholecystitis, the patient may have right upper quadrant tenderness that is exacerbated during inspiration by the examiner's right subcostal palpation (Murphy's sign). A positive Murphy's sign suggests acute inflammation and may be associated with a leukocytosis and moderately elevated liver function tests.Ref: Bailey and love 27e pg: 1199